Direct immunofluorescence is positive in?
1. Atopic dermatitis
2. Psoriasis vulgaris
3. Pemphigus vulgaris
4. Secondary syphilis

Correct answer: 3. Pemphigus vulgaris

Explanation: Direct immunofluorescence is positive in Pemphigus group of diorders. The diagnosis of pemphigus is confirmed by direct IF which shows IgG and often C3 deposited on the surface of keratinocytes throughout the epidermis in perilesional skin Direct immunofluorescence is also done for pemphigoid and dermatitis herpetiformis.